The thinnest part of lens capsule is:
1. Anterior part
2. Posterior part
3. Peripheral part
4. All of the above

Correct answer: 2. Posterior part

Explanation: Posterior part